Which statement considering the relations of nerves to the humerus is the most accurate?,
1. The axillary nerve runs around the anatomical neck.
2. The median nerve runs in the spiral groove.
3. Mid-shaft humeral fractures will usually result in complete paralysis of triceps.
4. Deltoid may atrophy following shoulder dislocation.

Correct answer: 4. Deltoid may atrophy following shoulder dislocation.

Explanation: d. Deltoid will atrophy as a result of severe damage to the axillary nerve, which may occur following dislocation of the shoulder. The axillary nerve also innervates teres minor and skin over the lateral side of the proximal part of the arm. Sensory loss in this area suggests nerve damage. a. The axillary nerve (C5, C6) winds around the surgical neck of the humerus, accompanying the posterior circumflex humeral vessels. b. The radial nerve runs in the spiral groove, where it is accompanied by the profunda brachii artery. c. Mid-shaft humeral fractures may damage the radial nerve as it runs in the spiral groove. The branches to the lateral and long head of triceps arise before the nerve enters the groove, and thus only the medial head is affected.